Massive colonic bleeding in a patient of Dirt veiculosis is from -
1. Inferior mesenteric artery
2. Superior mesentric artery
3. Coeliac artery
4. Gastro-duodenal artery

Correct answer: 2. Superior mesentric artery

Explanation: Ans. is 'b' i.e., Superior Mesentric Artery Although diverticulosis involves mainly the left side of colon, bleeding occurs mostly from right side of colon. Right side is supplied by superior mesentric artery. "Hemorrhage from a colonic diverticula is the most common cause of hematochezia in patients over the age of 60." - Harrison 16/e, p 1796